Life cycle of filaria is?
1. Cyclodevelopmental
2. Cyclopropagative
3. Propagative
4. Transovarian

Correct answer: 1. Cyclodevelopmental